All of the following arteries supply medulla oblongata, except
1. Posterior inferior cerebellar artery
2. Spinal artery
3. Anterior inferior cerebellar artery
4. Vertebral artery

Correct answer: 3. Anterior inferior cerebellar artery

Explanation: Medulla is supplied by : Anterior Spinal artery Posterior inferior cerebellar artery Direct branches of vertebral artery Basilar artery ref - Vishram singh neuroanatomy 2e pg 77